A 25 years old basket ball player suddenly collapsed while undergoing an athletic event and died. At autopsy the septum was hypertrophied. The most probable diagnosis is -
1. HOCM
2. Right ventricular conduction Abnormality
3. Epilepsy
4. Snake bite

Correct answer: 1. HOCM

Explanation: Ref:Harrison's 19th E pg 1568. Most probably it is HOCM. Patients with hypertrophic cardiomyopathy have an increased risk of sudden cardiac death from ventricular tachyarrhythmias. Vigorous physical activity and competitive sport are prohibited.